Which of the following forms the Passavant's ridge?
1. Palatoglossus
2. Salpingopharyngeus
3. Palatopharyngeus
4. Hyoglossus

Correct answer: 3. Palatopharyngeus

Explanation: Some of the upper fibres of the palatopharyngeus pass circularly deep to the mucous membrane of the pharynx,and form a sphincter internal to the superior constrictor.These fibres constitute passavant's muscle which on contraction raises a ridge called the Passavant's Ridge. REF.BDC VOL.3,FIFTH EDITION